Treatment of choice in Medullary Ca thyroid
1. Total thyroidectomy
2. Total thyroidectomy + Radical neck dissection
3. Total thyroidectomy + Radiotherapy
4. Total thyroidectomy + Prophylactic CCND

Correct answer: 4. Total thyroidectomy + Prophylactic CCND

Explanation: Surgery is the main therapeutic modality. Total thyroidectomy with bilateral central node dissection and ipsilateral lateral neck dissection if primary tumor is greater than 1cm or central nodes are positive. Reference: SRB's Manual of Surgery, 6th Edition, page no= 477. Reference: Bailey & love, 26th Edition, page no =769.